A 7-year-old boy presents with a right-sided hemangioma and left-sided focal seizures. The most likely diagnosis is:
1. Neurofibromatosis
2. Incontinentia pigmenti
3. Hyper melanosis of Ito
4. Sturge-Weber syndrome

Correct answer: 4. Sturge-Weber syndrome

Explanation: d. Sturge-Weber syndrome(Ref: Nelson's 20/e p 2879, Ghai 8/e p 586)Sturge-Weber Syndrome (SWS)Angiomas involving leptomeninges & skin of face, typically in ophthalmic & maxillary divisions distributions of trigeminal nerve.The hallmark of SWS is a facial cutaneous venous dilation, also referred to as a nevus flammeus or port-wine stain.Contralateral focal seizures, calcification of cerebral cortex and glaucoma on same side as skin lesions are seen.